Intracellular receptors are used by ?
1. ACTH
2. TSH
3. Glucocorticoids
4. Insulin

Correct answer: 3. Glucocorticoids

Explanation: Ans. is 'c' i.e., Glucocorticoids